Conjunctivitis is caused by except -
1. CMV
2. Enterovirus 70
3. Coxsackie A 24
4. Adenovirus

Correct answer: 1. CMV

Explanation: All the options above can cause conjuctivitis except Cytomegalovirus (CMV). Cytomegalovirus (CMV) associated diseases: Congenital CMV infection Acquired CMV infection CMV infection in immunocompromised patients. CMV infection in immunocompetent adult hosts. In some cases, infection in healthy people can cause mild illness that may include: Fever Sore throat Fatigue Swollen glands Congenital CMV infection includes: Rash Jaundice Microcephaly (small head) Low birth weight Hepatosplenomegaly (enlarged liver and spleen) Seizures Retinitis